Nigh guard vital bleaching is done using
1. Using McInne’s solution
2. H2O2 activated with thermo/Photo catalytic technique
3. Na Perborate and H2O2
4. 10-16% carbamide peroxide

Correct answer: 4. 10-16% carbamide peroxide